Clonidine has the following attributes except:
1. Acts on alpha2 adrenergic receptors
2. Can produce rebound hypertension on abrupt with- drawal
3. Can Produce CNS stimulation
4. Inhibits salivation

Correct answer: 3. Can Produce CNS stimulation

Explanation: Clonidine is an alpha 2A receptor agonist. clonidine produces sedation due to decreased central sympathetic outflow The adverse effects of Clonidine- sedation, mental depression, dryness of mouth, nose and eyes( secretion is decreased by central action ). The alarming rise of BP, restlessness, nausea, vomiting, tachycardia, anxiety, sweating develop if Clonidine is missed for1-2 days. It is due to the sudden removal of central sympathetic inhibition resulting in a relapse of large quantities of stored CAs and also due to supersensitivity of peripheral adrenergic receptors to CAs that develops due to the chronic reduction of sympathetic tone during Clonidine therapy. From essential of medical pharmacology K D Tripati 7th edition page no 565